Contents of anatomical snuff box are
(A)Radial Artery
(B)Tendon of Abductor Poilicis longus
(C)Tendon of extensor poilicis brevis
(D)Scaphoid bone
(E)Superficial cutaneous branch of radial nerve
1. AE
2. BC
3. BA
4. DE

Correct answer: 1. AE

Explanation: Anatomical Snuff Box - BDC4th/ Vol. 1130
♦ It is a triangular depression in lateral side of wrist seen best when thumb is extended
♦ Boundaries
● Anterior - Tendon of abductor Pollicis lonus Tendon of extensor Pollicis brevis
● Posterior - Tendon of extensor pollids iongus
● Above
♦ Styloid process of radius
♦ Floor – ScaphoidQ & trapezium bone
♦ Crossed by radial A Anatomical Snuff Box – snell’s 8th/533-35
♦ It is a depression in the skin that lies distal to styloid process of radius.
♦ Boundaries
● Medial
● Tendon of Extensor pollicis longus
● Lateral
● Tendon of abductor pollicis longus
● Tendon of Extensor pollicis brevis
♦ Floor
● Proximally-styloid process of radius
● Distally-base of rst metacarpal bone of thumb
♦ B/w these bones , beneath the oor lies the scaphoid & the trapezium (felt but not identiable)
♦ Radial Artery - Can be palpated
♦ Cephalic vein - Can also someti mes be recognised crossing the box as it ascends the forearm Mnemonics Floor -
FiRST Fi- First Metacarpal bone R- Radial Styloid S-Scaphoid bone T- Trapezium Contents - VAN V- Cephalic vein A - Radial artery N - Radial Nerve (cutaneous Branch)
Clinical signicance of anatomical snuff box:
• The pulsations of radial artery can be felt in the anatomical box.
• The tenderness in the anatomical box indicates fracture of scaphoid bone.
• The cephalic vein at this site is often used for giving intravenous uids.
• The supercial branches of the radial nerve can be rolled over the tendon of extensor pollicis longus.
Anatomical Snuff Box Anatomical Snuffbox is a triangular depression on the lateral aspect of wrist immediately distal to the radial styloid process,
that becomes prominent when thumb is fully extended Boundaries Floor Contents Lateral /Anterior wall
● Abductor Pollicis longus (Radially)
● Extensor Pollicis Brevis (Medially') Medial /Posterior wall
● Extensor Pollicis
● Radial styloid
● Scaphoid (smooth convex articular surface)
● Trapezium
● Base of First Metacarpal
● Cephalic vein
● Radial artery
● Supercial radial nerve